A 10 year old female patient diagnosed as a case of
down's syndrome having mosaicism variety.

Which type of head shape is commonly seen?
1. Oligocephaly
2. Dolicocephaly
3. Brachycephaly
4. Mesiocephaly

Correct answer: 3. Brachycephaly

Explanation: General manifestations of Down’s Syndrome Skull
a. Brachycepbalic (round) skull resulting in a flattened face and occiput.
b. Presence at birth of third fontanelle. Just anterior to the posterior fontanelle.
c. Flat nasal bridges with a small maxilla.
Eyes
a. Oblique palpebral fissures with prominent epicanthic folds.
b. Brushfield’s spots appear on the iris in a ring concentric with the pupil.
c. Scanty eyelashes. 
d. Cataracts, squint and nystagmus are common.
Ears
a. Dysplastic ears with abnormal pinna.
Neck
Short and broad with excess skin posteriorly.
Hands
a. Broad and short (clinodactyly) with a single transverse palmar crease (simian crease).
b. Short incurved little finger.
c. Multiple loops on finger tips.
Muscles And Joints
Hypotonicity and hyperextensibility.
IQ
Often severely retarded with an IQ of 25-50.
Paediatric Dentistry / Shobha Tandon - 2nd Ed  P: 539,540